Urge urinary incontinence is
1. Involuntary urinary leak with increase in abdominal pressure
2. Involuntary urinary leak preceeded by strong imminent need to void
3. Urinary urgency with increased daytime frequency and nocturia
4. Detrusor sphincter dyssynergia

Correct answer: 2. Involuntary urinary leak preceeded by strong imminent need to void

Explanation: Urge urinary incontinence is urinary leakage preceeded by strong desire to void.